Ixodid tick transmits
1. Listerosis
2. Leishmaniasis
3. Lyme disease
4. Malaria

Correct answer: 3. Lyme disease

Explanation: Description: Vector Diseases transmitted Soft tick Relapsing fever, Q fever, KFD (outside India) Hard tick Tularemia, Babesiosis, KFD (India), Tick paralysis, Tick encephalitis, Indian tick typhus, Tick hemorrhagic fever, Rocky Mountain spotted fever, Lymes disease REF: PARK'S TEXTBOOK OF PREVENTIVE AND SOCIAL MEDICINE, 25TH EDITION, PG NO. 841